Type of receptor present on T-cells are:
1. IgA
2. IgG
3. Prostaglandins
4. CD4

Correct answer: 4. CD4

Explanation: Helper T cells 

Carries CD4 marker.
Helps or induces immune responses.
Recognize antigen in association with class II MHC.
Macrophages are activated to kill intracellular microorganisms by secreting cytokines.

Parija SC. Textbook of Microbiology & Immunology. Elsevier Health Sciences; 2014. Page:127